Consent given by a person who is intoxicated with ethanol is invalid, this comes under
1. Sec 87 IPC
2. Sec 92 IPC
3. Sec 90 IPC
4. Sec 89 IPC

Correct answer: 3. Sec 90 IPC

Explanation: Refer the byte "Legal sections".